DNA enzyme for aging:
1. Telosomerase
2. Topoisomerase
3. Telomerase
4. DNA polymerase

Correct answer: 3. Telomerase

Explanation: Ans. (c) TelomeraseRef: Harper's Biochemistry, 30th ed. pg. 374, 732, 26th ed. Pg- 318* The ends of each chromosome contain structures called telomeres.* Telomeres consist of short, repeat TG-rich sequences. Human telomeres have a variable number of repeats of the sequence 5'-TTAGGG-3', which can extend for several kilobases.* Telomerase, is related to viral RNA-dependent DNA polymerases (reverse transcriptases) and is the enzyme responsible for telomere synthesis and thus for maintaining the length of the telomere.* Telomere shortening has been associated with both aging and malignant transformation. Because of this reason, telomerase has become an attractive target for cancer chemotherapy and drug development.